When a disease spreads from vertebrate animals to man it is said to be:
1. Zooanthroposes
2. Anthropozoonoses
3. Amphixenoses
4. Epizootic

Correct answer: 2. Anthropozoonoses

Explanation: Any disease that is transmitted from animals to humans is called Anthropozoonoses.